What are the Cardinal ligaments of uterus ?
1. transverse cervical ligament
2. round ligament of ovary
3. pubo cervical ligament
4. round ligament of uterus

Correct answer: 1. transverse cervical ligament

Explanation: Transverse Cervical Ligaments of Mackenrodt - These are also known by various other names like lateral cervical ligaments; cardinal ligaments; paracervical ligaments; retinacula uterine sustentaculum of bonny. These are fan-shaped condensations of the pelvic fascia on each side of the cervix above the levator ani and around the uterine vessels. They connect the lateral aspects of the cervix and of the upper vaginal wall to the lateral pelvic wall, about 2.5 cm ventraJ to the ischial spine. They form a 'hammock' that supports the uterus. Ref : B D Chaurasia's Human Anatomy , seventh edition , volume 2 , pg. no., 425.